Gastric ulcer seen in burns is called
1. Peptic ulcer
2. Cushing ulcer
3. Curling ulcer
4. Erosive gastritis

Correct answer: 3. Curling ulcer

Explanation: Curling's Ulcers are acute ulcers which develop after major burns, presenting as pain in epigastric region, vomiting or haematemesis. Curling's ulcer occur when burn injury is more than 35%. Treatment is IV ranitidine. Reference : SRB's Manual of Surgery, 6th Edition, page no = 813.